Biceps brachii does not arise from
1. Supraglenoid tubercle
2. Glenoid labrum
3. Coracoid process
4. Front of humerus

Correct answer: 4. Front of humerus

Explanation: BICEPS BRACHII:-Origin: Two heads-Long head-supraglenoid tubercle of scapula and glenoid labrum.Short head-coracoid process of scapula.Insertion:-posterior rough part of radial tuberosity Nerve supply:-musculocutaneous nerve.Action: supination of forearm when elbow is flexed.Flexion of forearm when elbow is extended.Biceps reflex:-Tapping tendon of biceps brachii by reflex hammer with forearm pronated and partially extended at elbow. Normal reflex confirms the integrity of musculocutaneous nerve and C5 and C6 spinal segments.{Reference: Vishram Singh, pg no.105}